Early indication of sexual maturation in females is
1. Menarche
2. Thelarche
3. Pubarche
4. Genital maturation

Correct answer: 2. Thelarche

Explanation: The onset of puberty is triggered by various genetic and environmental factors. The activation of the hypothalamic-pituitary-gonadal axis leads to the production of gonadotropins ( LH & FSH) and sex steroids (estrogen & testosterone). Puberty in girls starts with Breast development (thelarche)- 8-13yrs Appearance of public hair(pubarche) At last menstruation ( menarche)- average at 12.6 yrs( range 10-16 yrs) Puberty in boys starts with Increase in testicular size(9-14yrs) Pubarche Lengthening of penis Spermarche( production of sperms at 14-16 yrs) Ref: Ghai, 9th edition, Chapter 5, Page 60.